Persistent marrow aplasia is caused by which hepatitis virus:
1. HAV
2. HBV
3. HCV
4. None of the above

Correct answer: 4. None of the above

Explanation: Ans. D: None of the abovePersistent marrow aplasia appear after a variety of viral infections, most commonly viral hepatitis of the non-A, non-B, non-C, non-G type, which is associated with 5% to 10% of cases.